True about Trichomonas vaginalis :
1. Flagellated parasite
2. Fungal infection
3. Curdy white discharge
4. Pruritus absent

Correct answer: 1. Flagellated parasite

Explanation: Pear shaped unicellular flagellate sudden profuse vaginal discharge,offensive irritation and itching of varying degress present dysuria and frequency of micturation seen copious thin greenish yellow frothy offensive discharge D.C.DUTTA'S TEXTBOOK OF GYNECOLOGY,Pg no:164,6th edition